Gas gangrene is caused by:
1. Clostridium botulium
2. Clostridium perfringens
3. Clostridium difficile
4. Clostridium tetani

Correct answer: 2. Clostridium perfringens

Explanation: Ans: B (Clostridium perfringens) Ref: Ananthnarayan R, Paniker CKJ. Textbook of Microbiology. 8th Edition. Hyderabad: Universities Press; 2(X)9. Pg. 251Explanation:Gas gangreneCaused byCl. perfringensCl. septic uniCl. odematieunsCl. sporogenesCl histolyticum (Aerotolerant anaerobe)Virulence factorsExotoxins - hemolytic, lethal and necrotic effects, help in spreading of the infectionAlpha toxin (lecithinase) -splits lecithinCollagenase (Kappa)Hyaluronidase - breaks down hyaluronic acid in muscles celtsTheta toxin haemolysinLeucocidin - kills leucocytesGamma, delta, theta, lambda, mu & eta toxinFood poisoningGastroenteritis - Cl. perfringens (type A)Necrotising enterocolitis - Cl. perfringens (type C)* Botulism - Cl. botulinum Acute colitis (Antibiotic associated diarrhoea) - Cl. Difficile